Corneal deposits are seen in all of these except
1. Hurler's syndrome
2. Morquio's syndrome
3. Myeloma
4. Sanfilippo's syndrome

Correct answer: 4. Sanfilippo's syndrome

Explanation: Mucopolysacchridosis have characteristic corneal deposits seen. It is not seen in sanfillippo's syndrome and hunter's syndrome Amyloidosis seen in the myeloma can also have deposition in cornea Whorl like corneal deposits are seen in - Amiodarone - Indomethacin - Chloroquinine - Phenothiazine - Fabry's disease